All the following are true about Rheumatoid arthritis except -
1. Positives for Anti-IgG antibody
2. Juxta-articular osteoporosis
3. Morning stiffness
4. C Reactive protein indicates better prognosis

Correct answer: 4. C Reactive protein indicates better prognosis

Explanation: Persons who present with high titers of Rheumatoid factor, C Reactive protein and Haptoglobin have a worse prognosis than the individuals who present with Subcutaneous nodules or Radiographic evidence of erosions.